Monocular diplopia with homonymous hemianopia originates in the:
1. Geniculate body
2. Calcarine cortex
3. Parietal lobe
4. Temporal lobe

Correct answer: 2. Calcarine cortex

Explanation: Ans. Calcarine cortex